Corneal layer which does not regenerate
1. Bowman's layer
2. Stroma
3. Descemet's membrane
4. Epithelium

Correct answer: 1. Bowman's layer

Explanation: The layers of cornea are -(anterior to posterior) Epithelium Bowman's membrane Substantia propria(corneal stroma) Pre- Descement's membrane(Dua's layer) Descement's membrane Endothelium Bowman's membrane consists of acellular mass of condensed collagen fibrils. It is not a true elastic membrane but simply considered superficial part of stroma. It shows considerable resistance to infection. But once destroyed, it is unable to regenerate and, therefore, heals by scaring. Ref;A.K.Khurana;6 th Edition; Page no: 96